Overjet and overbite of malocclusion is assessed using WHO survey from 1997 with the help of the instrument:
1. Williams probe
2. CPI probe
3. Measuring scale
4. Straight probe

Correct answer: 2. CPI probe